Crew cut appearance on X ray skull is seen in:
1. Thalassemia
2. Megaloblastic anemia
3. Autoimmune hemolytic anemia
4. Ultrasonography

Correct answer: 1. Thalassemia

Explanation: Ans. A. ThalassemiaCrew cut appearance in thalassemia occurs due to expansion of the marrow on account of extra-medullary hemapoiesis.The widened diploic spaces on X-ray skull lateral view appear as Crew cut or hair on end appearance.